Features of Wernicke's disease are all EXCEPT
1. Ophthalmoplegia
2. Bradycardia
3. Ataxia
4. Global confusion

Correct answer: 2. Bradycardia

Explanation: (B) Bradycardia # Features of Wernicke's disease: The characteristic clinical triad is that of ophthalmoplegia, ataxia, and global confusion However, only one-third of patients with acute Wernicke's disease present with the classic clinical triad.> Most patients are profoundly disoriented, indifferent, and inattentive, although rarely they have an agitated delirium relate d to ethanol withdrawal.> If the disease is not treated, stupor, coma, and death may ensue.> Ocular motor abnormalities include horizontal nystagmus on lateral gaze, lateral rectus palsy (usually bilateral), conjugate gaze palsies, and rarely ptosis.> Gait ataxia probably results from a combination of polyneuropathy, cerebellar involvement, and vestibular paresis.> The pupils are usually spared, but they may become miotic with advanced disease.> Tachycardia and postural hypotension may be related to impaired function of the autonomic nervous system or to the coexistence of cardiovascular beriberi.